Saliva contains which of the following acts as defence mechanism for prevention of dental caries?
1. Lysozyme
2. Lactoferrin
3. Lactoperoxidase
4. All of the above

Correct answer: 4. All of the above